Sudha, a 20 year old female developed antibiotic associated pseudomembranous colitis caused by Clostridium difficile. Which of the following drugs is most likely to be effective in the treatment of this disease ?
1. Ampicillin
2. Clindamycin
3. Metronidazole
4. Chloramphenicol

Correct answer: 3. Metronidazole